A 40 year old woman presents with a 2 year old h/o erythematous papulo pustular lesions on convexities of the face. There in a background of erytherma & telengiec-tasia. The most likely diagnosis is:
1. Acne valgaris
2. Rosacea
3. SLE
4. Polymorphic light eruption

Correct answer: 2. Rosacea

Explanation: B i.e. Rosacea